Tattooing in entry wound of a firearm injury is due to:
1. Burns
2. Smoke
3. Gunpowder
4. Wads

Correct answer: 3. Gunpowder

Explanation: Ans./ Gunpowder